Hematuria with dysmorphic RBCs is a feature of which one of the following ?
1. Acute cystitis
2. Prostatitis
3. Hereditary nephritis
4. Cyclophosphamide toxicity

Correct answer: 3. Hereditary nephritis

Explanation: Hereditary nephritis is a genetically heterogeneous disorder characterized by nephritic syndrome (ie, hematuria, proteinuria, hypertension, eventual renal insufficiency) often with sensorineural deafness and, less commonly, ophthalmologic symptoms. Cause is a gene mutation affecting type IV collagen Ref Harrison20th edition pg 278